Cholesterol is not a precursor for synthesis of -
1. Vitamin D
2. Progesterone
3. Bile acids
4. Lipocortin

Correct answer: 4. Lipocortin

Explanation: Ans. is 'd' i.e., Lipocortino Cholesterol is an important precursor for the synthesis of :-i) Steroid hormones:- Progesterone, estrogen,, androgens, glucocorticoids, mineralocorticoidsii) Vitamin Diii) Bile acids